The infection that is spreading to the newborn by caregivers?
1. Candida albicans
2. Candia galbrata
3. Candida parapsilosis
4. Candida tropicans

Correct answer: 3. Candida parapsilosis

Explanation: Ans is (c) i.e Candida Paraspilosis Ref Clin MicroHol Rev. Oct 2008: 21(4): 606-625 Candida parapsilosis is an emerging major human pathogen that has dramatically increased in significance and prevalence over the past 2 decades, such that C. parapsilosis is now the second leading causes of invasive candidal disease. Individuals at the highest risk for severe infection include neonates and patients in intensive care units. C. parapsilosis infections are especially associated with hyperalimentation solutions, prosthetic devices, and indwelling catheters, as well as the nosocomial spread of disease through the hands of health care workers. Factors involved in disease pathogenesis include the secretion of hydrolytic enzymes, adhesion to prosthetics, and biofilm formation. Important Points about Candida parapsilosis Candida species are presently the fourth leading cause of nosocomial bloodstream infection. Candida albicans is the most frequent isolate from blood cultures followed by Candida parapsilosis C. parapsilosis does not form true hyphae and exists in either a yeast phase or a pseudohyphal form. C. parapsilosis is notorious for its capacity to grow in total parenteral nutrition and to form biofilms on catheters and other implanted devices, for nosocomial spread by hand carriage. C. parapsilosis is of special concern in critically ill neonates, causing more than one-quarter of all invasive fungal infections in low-birth-weight infants. Additionally, it is the predominant fungal organism isolated in many neonatal intensive care units (NICUs), where it is often associated with neonatal mortality C. parapsilosis is also a normal human commensal, and it is one of the fungi most frequently isolated from the subungal space of human hands C. parapsilosis fungemia can lead to seeding of tissues, resulting in deep-seated infections, and has a mortality rate ranging from 4% to 45% Compared to C. albicans, C. parapsilosis more frequently caused fungemia among neonates, in patients with intravenous lines or vascular catheters, who had received prior antifungal agents, were on parenteral nutrition, or had undergone transplantation.